Hall mark of the IgA nephropathy is
1. Oedema
2. Hematuria
3. Hypertension
4. Proteinuria

Correct answer: 2. Hematuria

Explanation: (Hematuria) (698 - H M) (524- R) (555- Basic pathology 8th)IgA - Nephropathy - usually characterized by recurrent bouts of haematuria* Mild proteinuria is usually present and occasionally nephrotic syndrome may develop* IgA nephropathy is one of the most common cause of recurrent or gross hematuria and is the most common glomerular disease worldwide* The pathogenic hall mark is the deposition of IgA in the mesangium